Peripheral neuritis due to isoniazid is due to formation of which complex ?
1. Hydrazone complex
2. Isobutane complex
3. Isoazoic complex
4. Hydralazine complex

Correct answer: 1. Hydrazone complex

Explanation: Ans. is 'a' i.e., Hydrazone complex Isoniazid reacts with pyridoxal to form a hydrazone, and thus inhibits gneration of pyridoxal phosphate. Isoniazid also combines with pyridoxal phosphate to interfere with its coenzyme function. Due to formation of hydrazones, the renal excretion of pyridoxine compounds is increased. Thus, isoniazid therapy produces a pyridoxine deficiency state.